Best retainer advised after the closure of midline
diastema is
1. Hawley's retainer
2. Hawley's retainer with finger spring
3. Positioner
4. Bonded retainer

Correct answer: 4. Bonded retainer